A baby presenting with multiple deformities, cleft lip, cleft palate, microphaly, small eyes, scalp defect and polydactyly, seen in which syndrome
1. Trisomy 13
2. Trisomy 18
3. Trisomy 21
4. Monosomy 2

Correct answer: 1. Trisomy 13

Explanation: Multiple deformities,cleft lip ,cleft palate,microcephaly,small eyes,polydactyly and scalp defects are a feature of trisomy 13 or Patau syndrome. Image shows features of patau syndrome. Reference: Nelson TB of pediatrics pg 404 19th edition.